Blow-out fracture refers to
1. Fracture of orbit
2. Fracture of nasal septum
3. Fracture base of skull
4. Fracture of mandible

Correct answer: 1. Fracture of orbit

Explanation: Isolated fractures of orbital floor, which occur when a large blunt object strikes the globes, are known as 'blow-out fractures' Ref: Textbook of diseases of ENT; PL Dhingra;7th edition, pg 206